Neurological complications following Rabies vaccine is common with ?
1. HDCS Vaccine
2. Chick embryo Vaccine
3. Semple Vaccine
4. Duck Egg Vaccine

Correct answer: 3. Semple Vaccine

Explanation: Ans. is 'c' i.e., Semple Vaccine Rabies Vaccine . Rabies vaccines are fluid or dried prepration of fixed virus grown in the neural tissues of rabbits, sheep, goats, mice or rats or in embryonated ducks egg or in cell cultures. . Inactivation of virus is commonly done by treatment with formalin or R. Propiolactone (B.P.L.) . Antirabies vaccine fall into two main categries. . Neural Vaccines especially (Semple Vaccine) can cause neurological complications. . Duck embryo Vaccine has less neuroparalytic complications, but can cause allergic reactions. Persons allergic to eggs, should not be given this vaccine. . Cell culture vaccines are more potent, safer with fewer side effects and requre fewer injection than other vaccines. . Because of their potency and low cost 'Second generation tissue culture vaccines are preferred.'